All are true regarding lupus and pregnancy except
1. Can result in renal failure.
2. Women with cutaneous lupus have no adverse outcomes usually.
3. Lupus in pregnancy can result in pre-term labor.
4. Antibodies to ss - A and ss - B antigens result in ventricular apical fibrosis in neonate.

Correct answer: 4. Antibodies to ss - A and ss - B antigens result in ventricular apical fibrosis in neonate.

Explanation: Neonatal heart block results from diffuse myocarditis and fibrosis in the region between A V node and Bundle of His.